The most frequent source of infection with Listeria monocytogenes is through which of the following?
1. Human feces
2. Livestock
3. Raw milk
4. Soil

Correct answer: 3. Raw milk